Which local anaesthetic does not require adrenaline?
1. Procaine
2. Lignocaine
3. Bupivacaine
4. Cocaine

Correct answer: 4. Cocaine

Explanation: Ans. is 'd' i.e., Cocaine Cocaine itself has peripheral sympathomimetic action.